Diameter of graafian follicle at the time of ovulation is -
1. 10mm
2. 15mm
3. 20mm
4. 25mm

Correct answer: 3. 20mm

Explanation: Ans. C. 20mmOvulation is aprocessby which a secondary oocyte is released from the ovaryfollowingrupture of a mature Graafian follicle and becomes available for conception.There is a pre - ovulatory enlargement in the Graafian follicle and it measures about 20 mm at the time of ovulation.